Which of the following is not included in the `SAFE' strategy?
1. Supplementation of vitamins
2. Antibiotics
3. Face washing
4. Improvement of the environment

Correct answer: 1. Supplementation of vitamins

Explanation: Supplementation of vitamins 'SAFE' strategy is a WII0 recommended strategy to fight trachoma. 'SAFE' strategy for Trachoma It includes a)Surgery - first component of the strategy for correction of trichiasis and entropion b)Antibiotics - Zithromax (azithromycin) single dose oral medication is used (Zithromax is donated by Pfizer Inc.) Tetracycline eye ointment was used before Pfizer donated Zithromax. c)Face washing -breaks the cycle of reinfection and prevents transmission of disease. d)Environmental Improvement - Poverty and poor living conditions contribute to high rates of blinding trachoma. Environmental improvement includes - availability of improved water supplies - improved household sanitation, particularly safe disposal of faeces.